Line from midinguinal point to adductor tubercle represent ?
1. Inferior epigastric artery
2. Femoral artery
3. Superior epigastric artery
4. None of the above

Correct answer: 2. Femoral artery

Explanation: Ans. is 'b' i.e., Femoral artery Femoral artery enters the thigh behind the inguinal ligament at the mid-inguinal point. /t is represented by the upper two-third of a line joining the mid-inguinal point to adductor tubercle.Femoral vein has same markings as femoral artery except that the upper point is taken 1 cm medial to mid-inguinal point and lower point 1 cm lateral to adductor tubercle.Inferior epigastric vessels is represented by the upper two-third of a line joining the mid-inguinal point to umblicus.